Tall ‘T’ waves are seen in:
1. Hyperkalemia
2. Hypocalcemia
3. Hypercalcemia
4. Hypokalemia

Correct answer: 1. Hyperkalemia

Explanation: Explanation: ECG changes in Hyperkalaemia Tall T waves
(Earliest sign) Prolonged PR interval Widened QRS interval Flattened P waves Arrythmias including bradycardia,
ventricular tachycardia or fibrillation Sinus arrest or nodal rhythm with possible asystole ECG changes
in Hypokalaemia Flattened T waves ST segment depression Prolonged QT interval Tall U waves Atrial arrythmias Ventricular tachycardia or ventricular fibrillation